Immuno-marker for GIST is?
1. CD 117
2. CD 4
3. CD 100
4. CD45

Correct answer: 1. CD 117

Explanation: Ans. is 'a' i.e., CD 117 * CD 117 (c kit) is considered the most specific marker of GIST.* Other markers are CD 34, smooth muscle actin and vimentin.